Fat embolism syndrome characterized by :
1. Tachycardia
2. Hypoxemia
3. Fat globules in urine
4. All

Correct answer: 4. All

Explanation: A i.e. Tachycardia, B i.e. Hypoxemia , C i.e. Fat globules in urine